Which antineoplastic drug has a very high cardiac toxicity ?
1. Bleomycin
2. Actinomycin–D
3. Doxorubicin
4. Mitomycin–C

Correct answer: 3. Doxorubicin